Duration of Oseltamivir treatment for influenza?
1. 5 days
2. 7 days
3. 9 days
4. 14 days

Correct answer: 1. 5 days

Explanation: Ans. A. 5 daysa. Oseltamivir (oral tablet) - 75 mg BD for 5 days for treatment; 75 mg OD for prophylaxisb. Zanamivir (inhalation)-10 mg BD for 5 days for treatment; 10 mg OD for prophylaxisc. Zanamivir may exacerbate bronchospasm in asthmatic patients.d. Oseltamivir has been associated with neuropsychiatric side effects in children.